5 year old child comes to hospital with history of loose stools but no history of fever or blood in stools. Mother says he is irritable and drinks water if given. On examination eyes sunken and on skin pinch test the skin is retracted within two seconds but not immediately. What will be the appropriate management?
1. Administer first due of i.v antibiotic and immediately refer to higher centre
2. Give oral antibiotics and ORS and ask the mother to continue the same and visit next day
3. Consider severe dehydration, start i.v fluids, antibiotics and refer to higher centre
4. ORS with zinc for 14 days

Correct answer: 4. ORS with zinc for 14 days

Explanation: This child has acute diarrhoea with same dehydration. So, treatment is ORS with zinc for 14 days.